Annual growth rate is
1. Crude birth rate-Crude death rate
2. Crude death rate-Crude birth rate
3. Crude birth rate-Crude death rate x 100\/Crude birth rate
4. Crude birth rate-crude death rate x 100\/Mid birth rate population

Correct answer: 1. Crude birth rate-Crude death rate

Explanation: When crude death rate is substracted from crude birth rate , the net residual is current annual growth rate, exclusive of migration. Population growth rates like railway trains are subject to momentum. They start slowly and gains momentum, once in motion, it takes time to bring momentum under control. Reference: Park's textbook of preventive and social medicine, 23rd edition, pg no: 481